Contrasts used in USG-
1. Urograffin
2. Ultragraffin
3. Sonavist
4. Conray

Correct answer: 3. Sonavist

Explanation: Ref : Diagnostic Ultrasound,5th Edition,Carol M. Rumack & Deborah Levine,pg no :54